An 11year old boy presented with the complaints of pain in the right arm near the shoulder. X-ray examination revealed an expansile lytic lesion in the upper third of humerus. The most likely diagnosis is -
1. Giant cell tumor
2. Unicameral bone cyst
3. Osteochondroma
4. Parosteal osteosarcoma

Correct answer: 2. Unicameral bone cyst

Explanation: Two most important differential diagnosis of expansile lytic lesion in proximal humerus and proximal femur in children are : -


Simple bone cyst (unicameral bone cyst)
Aneurysmal bone cyst


Among these two, only unicameral bone cyst is there in options. Therefore, no further discussion is required.